Tall R wave in ECG represents:
1. Right atrial overload
2. Left atrial overload
3. Right ventricular hypertrophy
4. All of the above

Correct answer: 3. Right ventricular hypertrophy

Explanation: Right ventricular hypertrophy due to a sustained, severe pressure load (e.g. due to right pulmonary valve stenosis or certain pulmonary artery hypertension syndromes) is characterized by a relatively tall R wave in lead V, (R >S wave), usually with right axis deviation.